True regarding acetazolamide is :
1. Irreversible inhibitor of carbonic anhydrase
2. Structural resemblance to sulfonamides
3. It decreases potassium excretion
4. It cause metabolic alkalosis

Correct answer: 2. Structural resemblance to sulfonamides